Which of these is true for management of labour in HIV positive mother?
1. LSCS is the preferred method of delivery
2. Early ARM should be done to detect meconium as these patients are at high risk of fetal distress
3. If need for instrumental delivery arises, vacuum is better than forceps
4. Routine suctioning of newborn is to be avoided

Correct answer: 4. Routine suctioning of newborn is to be avoided

Explanation: Intrapartum management of HIV positive mother: important guidelines NOTE: the key is minimal intervention Caesarean section in HIV positive mother should be performed for obstetric indications only Standard/ universal precautions Delay ARM for as long as possible Minimize PV examinations and use aseptic techniques Avoid invasive procedures like fetal blood sampling, fetal scalp electrode Avoid instrumental delivery and if needed, low cavity forceps is preferable to ventouse as it is associated with less fetal trauma Newborn suctioning to be avoided unless there is meconium staining of liquor